PNH is associated with a deficiency of -
1. DAF
2. MIRL
3. GPI anchored protein
4. All of the above

Correct answer: 4. All of the above

Explanation: PNH is a disease that results from acquired mutation in PIGA an enzyme that is essential for the synthesis of certain membrane associated complement regulatory proteins. PNH blood cells are deficient in 3 GPI linked proteins that regulate compliment activity. 1. Decay accelerating factor (DAF) or CD55 Membrane inhibitor of reactive lysis or CD59 (MIRL) 3 C8 binding protein Ref: Robbins and Cotran Pathologic basis of disease.South Asia Edition volume 1 ; 9th edition.page no.642